Following is true regarding cerebral venousinusesa) Transverse sinus is unequalb) CVT causes enophthalmosc) CVT causes empty delta signd) Communicate with subdural space
1. ac
2. bc
3. ad
4. b

Correct answer: 1. ac